A patient is diagnosed to have anterior interosseous nerve syndrome. Which of the following muscle is not affected in this syndrome?
1. Flexor pollicis longus
2. Pronator quadratus
3. Lateral half of flexor digitorum profundus
4. Lateral half of flexor digitorum superficialis

Correct answer: 4. Lateral half of flexor digitorum superficialis

Explanation: The muscles supplied by the anterior interosseous nerve are flexor pollicis longus, lateral half of flexor digitorum profundus and pronator quadratus. Anterior interosseous nerve arise as median nerve leaves the cubital fossa and soon join company with anterior interosseous artery and the two descend on the anterior surface of interosseous membrane. It passes posterior to the pronator quadratus muscle and end in front of the wrist. Its articular branches supplies the distal radioulnar, radiocarpal and intercarpal joints. Ref: Clinical Anatomy: (a Problem Solving Approach) By Kulkarni page 143.